Darwin tubercle is seen in ?
1. Tragus
2. Helix
3. Antihelix
4. Lobule

Correct answer: 2. Helix

Explanation: Ans. is 'b' i.e., Helix Darwin's tubercle (or auricular tubercle) is a congenital earcondition which often presents as a thickening on the helix at the junction of the upper and middle thirds. The feature is present in approximately 10.4% of the population.This acuminate nodule represents the point of the mammalian ear.